A 10 year boy presents with discharge and hearing disturbance in the left ear. On examination of the left ear, a central perforation is noted. Which of the following is the surgical management of choice in this patient?
1. Myringoplasty
2. Modified radical mastoidectomy
3. Radical mastoidectomy
4. Clearance and antibiotics

Correct answer: 1. Myringoplasty

Explanation: Ans. A. Myringoplasty